The most common cause of diarrhea in children is -
1. Vibrio cholerae
2. E. coli
3. Rota virus
4. Pneumococcus

Correct answer: 3. Rota virus

Explanation: Ans. is 'c' i.e., Rotavirus "Rotaviruses are recognized as the most common cause of diarrhea! disease in infants and children" - Ananthnarayan Causes of acute diarrhea in children Virus Bacteria Parasites Rota virus Calcivirus ETEC Salmonella E. histolytica Norwalk virus Astrovirus EIEC Campylobacter Giardia Adenovirus Shigella Aeromonas hydrophilia Cryptosporidium